A 48 years old man, resident of Baroda outskirts near a textile mill presents to his family physician with respiratory symptoms. Doctor advices X-ray chest which showed - fine reticular & nodular pattern in lower zone with loss of clarity of diaphragm & cardiac shadows. He also doubts about the presence of small pleural effusion. The probable diagnosis is?
1. Stannosis
2. Asbestosis
3. Silicosis
4. Coal worker's pneumoconiosis

Correct answer: 2. Asbestosis

Explanation: Information is this question are :-
1) Exposure to textile industry; 
2) Reticulo-nodular pattern in lower lung zone; 
3) Loss of definition of heart border and diphragm; 
4) Small pleural effusion. 
​All these suggest the diagnosis of asbestosis.